The dose of epinephrine given in anaphylaxis:
1. 0.5 mg in 1:1000 IM
2. 0.5 mg in 1:10,000 IM
3. 0.5 mg in 1:500 IM
4. 1 mg in 1:100 IM

Correct answer: 1. 0.5 mg in 1:1000 IM